Pringle maneuver is used in management of -
1. Liver trauma
2. Spleen trauma
3. Duodenal perforation
4. Prolapsed piles

Correct answer: 1. Liver trauma

Explanation: Ans. is 'a' i.e., Liver trauma Has been explained in NEET Dec-16